Pain in early labor is limited to which dermatomes?
1. T10 -L1
2. S1-S3
3. L4-L5
4. L2-L3

Correct answer: 1. T10 -L1

Explanation: In the early stages of labour pains are mainly uterine in origin because of painful uterine contractions It is distributed along the cutaneous nerve distribution of T10 - L 1. In the later stages pain is due to cervical dilatation This pain is referred to back through sacral plexus. Ref: Dutta Obs 9e pg 112.